Nail pitting is seen with ?
1. Paronychia
2. Ectodermal dysplasia
3. Alopecia areate
4. All the above

Correct answer: 4. All the above

Explanation: Ans. is'd' i.e., All the above